Process of mixing waste with cement before disposal is known as ?
1. Inertization
2. Controlled tipping
3. Sanitary landfill
4. Burial

Correct answer: 1. Inertization

Explanation: Ans. is 'a' i.e., Inertization The process of inertization involves mixing waste with cement and water substances before disposal to minimize the risk of toxic substances contained in the waste migrating into surface water or groundwater. It is especially suitable for pharmaceuticals and for incineration ashes with a high metal content (in this case, the process is also called "stabilization").